Which of the following is the brownish coloured substance seen in heart failure cells?
1. Hemosiderin
2. Lipofuscin
3. Myoglobin
4. Bilirubin

Correct answer: 1. Hemosiderin

Explanation: The brownish pigment seen in heart failure cells are hemosiderin. Heart failure cells are hemosiderin laden macrophages seen in the lung after development of congestion and pulmonary oedema. Lipofuscin are yellow brown pigment granules which are composed of lipid containing residues of lysosomal digestion. It is considered to be pigment of aging.